True about relation of epiploic foramen
1. IVC inferiorly
2. Portal vein posteriorly
3. Hepatic artery superiorly
4. Bile duct anteriorly

Correct answer: 4. Bile duct anteriorly

Explanation: Epiploic Foramen - it is also known as Foramen of Winslow, aditus or opening to the lesser sac. This is a vertical slit-like opening through which the lesser sac communicates with the greater sac. The foramen is situated at the level of the 12th thoracic vertebra. Boundaries - Anteriorly: Right free margin of the lesser omentum containing the portal vein, the hepatic artery, and the bile duct. Posteriorly : The inferior vena cava, the right suprarenal gland and T12 vertebra. Superiorly : Caudate process of the liver. Inferiorly : First part of the duodenum and the horizontal part of the hepatic artery. Ref : B D Chaurasia's Human Anatomy , seventh edition, volume 2 , pg .no. 263